Fluoride supplement for a 3-year old child living in an area with fluoride content of 0.25 ppm is:
1. 0.25 mg
2. 0.5 mg
3. 0.75 mg
4. 1 mg

Correct answer: 2. 0.5 mg